Treatment of choice for nasopharyngeal carcinoma:
1. Chemotherapy
2. Radiotherapy
3. Surgical
4. Wait & watch

Correct answer: 2. Radiotherapy

Explanation: Treatment of nasopharyngeal carcinoma Radiation therapy is the mainstay of treatment, with chemotherapy used in advanced cases. Concurrent cisplatin, 5-fluorouracil, and radiotherapy have been shown to improve survival. Sequential chemoradiotherapy with gemcitabine and cisplatin has been shown to improve survival in locoregionally advanced nasopharyngeal carcinoma. Many pediatric studies have used neoadjuvant chemotherapy followed by radiation therapy with improvement in local control or progression-free survival rates over radiotherapy alone.